Carpal tunnel is associated with all of the following except:
1. Hyperparathyroidism
2. Rheumatoid arthritis
3. Wrist osteoarthritis
4. Acromegaly

Correct answer: 1. Hyperparathyroidism

Explanation: Ans. A: Hyperparathyroidism Carpal tunnel syndrome (CTS) is a compressive neuropathy of the median nerve at the wrist. The carpal tunnel is located at the base of the palm and is bounded on 3 sides by carpal bones and anteriorly by the transverse carpal ligament. Inside run the median nerve, flexor tendons, and their synovial sheaths. Following may be the factors for CTS: Inflammation of the flexor tendon sheath caused by activities involving repetitive wrist flexion (e.g., assembly packing, computer keyboard work, playing a musical instrument, craftwork) Edema from trauma of any type (e.g., fractures), which can compress the median nerve Compression of the median nerve from pregnancy or oral contraceptive-related edema Strong association between being overweight or obese and the presence of CTS Acromegaly Rheumatoid arthritis Gout/ pseudogout TB Renal failure and hemodialysis Hypothyroidism Amyloidosis Wrist osteoarthritis